Immunosuppressant drug inhibiting the action of IL–2 without inhibiting its transcription is :
1. Prednisolone
2. Cyclosporine
3. Tacrolimus
4. Sirolimus

Correct answer: 4. Sirolimus